A 7-year-old boy with compulsive self mutilation, intellectual disability. He is always strapped to bed Serum uric acid level is elevated. What is the enzyme deficiency in this disorder?
1. PRPP Synthetase
2. Xanthine oxidase
3. Hypoxanthine Guanine Phosphoribosyl transferase
4. Glucose 6 Phosphatase

Correct answer: 3. Hypoxanthine Guanine Phosphoribosyl transferase

Explanation: Ans. C. Hypoxanthine Guanine Phosphoribosyl transferaseIdentifying features* Seen only in males* Compulsive self mutilation* Intellectual siability* Hyperuricemia